Most common Hemoglobin in normal adult is:
1. HbA
2. HbF
3. HbS
4. HbA2

Correct answer: 1. HbA

Explanation: Ans. A: HbAIn the embryo-Gower 1 (C2 r2) Gower 2 (a2E2)In the fetus: hemoglobin F (a2y2)In the adults:Hemoglobin A (GA) - The most common with a normal amount over 95%Hemoglobin A 2 (a26,) - Chain synthesis begins late in the third trimester and in adults, it has a normal range of 1.5-3.5%Hemoglobin A1c is increased in the patients with poorly controlled diabetes mellitus